Chin cap is used in
1. Class I
2. Class II
3. Skeletal class III
4. Dental class III

Correct answer: 3. Skeletal class III

Explanation: Chin cap was introduced by Oppenheim. It delivers a force of 800 - 1200 (400 - 600 gms/side). The patient is asked to wear the appliance for 12-14 hours/ day.